Which of the following structures is not seen on bronchoscopy
1. Trachea
2. Vocal cords
3. Subcarinal lymph nodes
4. First segmental division of bronchi

Correct answer: 3. Subcarinal lymph nodes

Explanation: Bronchoscopy can be done as part of an endobronchial ultrasound (EBUS) to look at the lymph nodes and other structures in the area between the lungs. ... If suspicious areas such as enlarged lymph nodes are seen, a hollow needle can be passed through the bronchoscope and guided into these areas to obtain a biopsy. Ref- Dhingra , 6th edition, pg no. 425.